In the age group of 7-12 years, most commonly involved teeth by dental trauma:
1. Incisors
2. Canine
3. Premolar
4. Molars.

Correct answer: 1. Incisors